Sphenoid sinusitis pain is referred most commonly to -a) Occiputb) Vertexc) Frontald) Temporal region
1. ab
2. a
3. ad
4. bc

Correct answer: 1. ab

Explanation: Acute sphenoditis: ‘Headache – usually localized to the occiput or vertex. Pain may also be referred to the mastoid region.’

Also Know